ACE inhibitors are contraindicated in all of the following except:
1. Pregnancy
2. Diabetes
3. Bilateral renal artery stenosis
4. Renal failure

Correct answer: 2. Diabetes